A serious coagulopathy characterized by severe thrombocytopenia and haemorrhage due to platelet trapping within the tumor is called
1. Phace (S) Syndrome
2. Kasabach- Merrit Phenomenon
3. Kaposi's sarcoma
4. Hemangioma

Correct answer: 2. Kasabach- Merrit Phenomenon